A lady while driving a car meets with an accident. She was admitted in an ICU for 6 months. After being discharged she often gets up in night and feels terrified. She is a afraid to sit in a car again. The diagnosis is
1. Anxiety disorder
2. Phobia
3. Conversion disorder
4. Post Traumatic Stress Disorder

Correct answer: 4. Post Traumatic Stress Disorder

Explanation: D i.e. Post traumatic stress disorder